Which vitamin is also antioxidant
1. Vitamin C
2. Vitamin D
3. Vitamin B3
4. Vitamin B2

Correct answer: 1. Vitamin C

Explanation: Antioxidant vitamins are: Vitamin C, Vitamin E, Beta Carotene.